Bishop-Koop operation is done for
1. Intussusception
2. Meconium ileus
3. Midgut volvulus
4. Duodenal atresia

Correct answer: 2. Meconium ileus

Explanation: Bishop Koop Operation 

Done for meconium ileus.
It is resection of most dilated segment with an end to side anastomosis of colon to ileum. The distal eleal opening is formed into ileostomy.